FNAC is not diagnostic of which of the following thyroid lesions
1. Papillary carcinoma
2. Follicular carcinoma
3. Lymphoma
4. Anaplastic carcinoma

Correct answer: 2. Follicular carcinoma

Explanation: Extensive histological sampling is required for its diagnosis. Follicular carcinoma generally do not spread through lymphatics. Ref: Robbins and cotrans 9e Pg 1098